O2 consumption by the heart is determined primarily by
1. Intramyocardial Tension
2. Contractile state of heart
3. Heart rate
4. All of the above

Correct answer: 4. All of the above

Explanation: O2 consumption by the heart is determined primarily by the intramyocardial tension, the contractile state of the myocardium, and the heart rate. Ventricular work per beat correlates with O2 consumption